Which of the following malignancy shows least lymph node involvement:
1. Supraglottic
2. Subglottic
3. Glottic cancer
4. Ca nasopharynx

Correct answer: 3. Glottic cancer

Explanation: Ans: c (Glottic cancer) Ref: Dhingra, 3rd ed, p. 372; 4th ed, p. 286No lymphatics in vocal cords so nodal metastasis are practically never seen in cord lesions unless the disease spreads beyond the membraneous cord. SupraglottisGlottisSubglottisSiteEpiglottisAryepiglottic foldArytenoidVentricular bandsVentricles & sacculeTrue vocal cordsAnt.commissurePost.commissureWall of subglottis upto lower border of cricoid cartilageFrequencyLess frequent than glotticMost commonLeast commonNodal metsNodal mets earlyNo lymph node metsNodal mets as common as in supraglottic varietySymptomsOften silent, hoarseness lateHoarsenessStridor